Lesh Nyhan syndrome is associated with deficiency of
1. HGPRT (partial)
2. HGPRT (total)
3. PRPP (partial)
4. PRPP (total)

Correct answer: 2. HGPRT (total)

Explanation: REF :DMRT VASUDEVAN TEXTBOOK :7th EDITION ;Page no :403 Disease deficient enzyme GPD Deficiency G6PD Gaucher's disease beta glucosidase Lesch-Nyhan syndrome HGPRTase